Antishkow's cells are seen in
1. Rheumatic heart disease
2. Rheumatic arthritis
3. Bacterial endocarditis
4. Marantic endocarditis

Correct answer: 1. Rheumatic heart disease

Explanation: Ans. is 'a' i.e.,Rheumatic heart disease Anitschkow (or Anichkov or catterpiller) cells are often cells associated with rheumatic heart disease.Anitschkow cells are enlarged macrophages found within granulomas (called Aschoff bodies) associated with the disease.Aschoff bodies (Aschoff nodules) are characteristic inflammatory lesions of acute rheumatic fever found in any of the three layers of heart, but mostly seen in myocardium (myocarditis).They consist of foci of collagen surrounded by following cells : Lymphocytes (especially T-cells), plasma cells, aschoff giantcells, antischkow cells, histiocytes and fibroblasts. Neutrophils (polymorphonuclear cells) are characteristically absent.